IQ = 51 –
1. Mild MR
2. Moderate MR
3. Severe MR
4. Profound MR

Correct answer: 1. Mild MR

Explanation: IQ between 50-70 is mild mental retardation.